Small axons are concerned with all, except
1. Pain
2. Temperature
3. Autonomic function
4. Proprioception

Correct answer: 4. Proprioception